Lisch nodules are seen in:
1. Albright syndrome
2. Neurofibromatosis
3. Tuberous sclerosis
4. Piebaldism

Correct answer: 2. Neurofibromatosis

Explanation: Ans. B i.e. Neurofibromatosis Lisch nodule It is a pigmented hamartomatous nodular aggregate of dendritic melanocytes affecting the iris These nodules are found in neurofibromatosis type 1, and are present in greater than 94% of patients over the age of six. They are clear, yellow-brown, oval to round, dome-shaped papules that project from the surface of the iris. These nodules typically do not affect vision, but are very useful in diagnosis. They are detected by slit lamp examination. lmmunohistochemistry stains positive against vimentin and S-100, and points to an ectodermal origin. They are not found in neurofibromatosis type 2.